False about 1st metacarpal is -
1. Shortest and stoutest of all metacarpals
2. Does not articulate with any other metacarpal bone
3. Rotated medially through 90 degrees with respect to other metacarpals
4. The base is occupied by a condylar articular surface for scaphoid

Correct answer: 4. The base is occupied by a condylar articular surface for scaphoid

Explanation: Ans. is 'D' i.e., The base is occupied by a condylar articular surface for scaphoid Characteristics of first metacarpal bone: 1 .Shortest and stoutest of all metacarpal bones. Base is occupied by a concavoconvex articular surface for trapezium. Dorsal surface of the shaft is uniformly convex. Head is less convex and broader from side to side than the heads of other metacarpals. The ulnar and radial comers of the palmar surface show impressions for sesamoid bones. It is rotated medially through 90 degrees relative to other metacarpals. As a result, movements of the thumb occur at right angles to those of the digits. It does not articulate with any other mtacarpal bones.